Whipworm among the following is
1. Enterobius vermicularis
2. Trichuris trichiura
3. Necator americanus
4. Strongyloides stercoralis

Correct answer: 2. Trichuris trichiura

Explanation: Species Disease/Most affected Form/Transmission Diagnosis Treatment Trichuris trichiura WhipwormCecum, appendicitis, andrectal prolapse EggsIngested Barrel-shaped eggs with bipolar plugs in stools Albendazole Ref: Ananthanarayana textbook of Microbiology 9th edition Pgno : 172-175